Retinal degenerations predisposed to retinal detachment include all of the following except:
1. Lattice degeneration
2. Snail track degeneration
3. Focal pigment clumps
4. Pavingstone degeneration

Correct answer: 4. Pavingstone degeneration

Explanation: Ans. Pavingstone degeneration